Sensory supply of parotid gland -
1. Mandibular nerve
2. Greater petrosal nerve
3. Auriculotemporal nerve
4. Lesser petrosal nerve

Correct answer: 3. Auriculotemporal nerve

Explanation: Ans. is 'c' i.e., Auriculotemporal nerve Nerve supply of parotid gland o Innervation of salivary gland is as follows1) Parasympathetic (secretomotor):# They reach the gland through auriculotemporal nerve as following routei) Preganglionic fibers Originate in inferior salivary nucleus; pass through glossopharyngeal nerve; its tympanic branch; tympanic plexus, and lesser petrosal nerve.ii) Relay ganglion Otic ganglion.iii) Postganglionic fibers Pass through the auriculotemporal nerve to reach the gland.2) Sympathetic (Vasomotor):# Derived from the plexus around middle meningeal artery.3) Sensory:# Derived from auriculotemporal nerve, except for parotid fascia and overlying skin which are innervated by great auricular nerve (C2, C3).